Female Athlete triad consists all EXCEPT
1. Disordered eating
2. Amenorrhoea
3. Osteoporosis
4. Absence of secondary sexual characters

Correct answer: 4. Absence of secondary sexual characters

Explanation: (D) Absence of secondary sexual characters> Some girls who play sports or exercise intensely are at risk for a problem called Female athlete triad. Female athlete triad is a combination of three conditions: disordered eating, amenorrhea, and osteoporosis. A female athlete can have one, two, or all three parts of the triad.